The superficial retinal haemorrhages are situated in:
1. Nerve fibre layer
2. Outer nuclear layer
3. Inner nuclear layer
4. Inner plexiform layer

Correct answer: 1. Nerve fibre layer

Explanation: Ans. Nerve fibre layer